A 45 years old hypertensive male presented with sudden onset severe headache, vomiting and neck stiffness. On examination he didn't have any focal neurological deficit. His CT scan showed blood in the Sylvain fissure. The probable diagnosis is:
1. Meningitis
2. Ruptured aneurysm
3. Hypertensive bleed
4. Stroke

Correct answer: 2. Ruptured aneurysm

Explanation: Answer is B (Ruptured Aeurysm): Presence of sudden onset headache, meningeal signs in the farm of neck stiffness and absence offocal neurological defecit suggests the diagnosis of subarachnoid haemorrhage. Presence of blood in sylvian fissure on the CT scan further confirms the diagnosis of SAH. The most common cause of SAH is rupture of an intracranial saccular aneurysm which is the single best answer of choice.